An example for gain of function mutation is?
1. Osteogenesis imperfecta
2. Ehler danlos syndrome
3. Marfan syndrome
4. Huntington's disease

Correct answer: 4. Huntington's disease

Explanation: Ans. (d) Huntington's diseaseIn Huntington disease, the trinucleotide repeat mutation affecting the Huntington gene gives rise to an abnormal protein, called huntingtin, that is toxic to neurons causing neurologic deficit